All of the following are true about meningocele except:
1. Spinal cord is usually normal and assumes a normal position in the spinal canal
2. Most meningoceles are well-covered with skin and pose no threat to the patient
3. Brilliantly transilluminant
4. Immediate surgical treatment is required to prevent meningitis in all patients

Correct answer: 4. Immediate surgical treatment is required to prevent meningitis in all patients

Explanation: Meningocele It is characterized by the herniation of meninges through an abnormal opening in the back bone or skull It is a cystic swelling in theskullor along the back bone and do not contain spinal cord or its nerves. So, on examination - Brilliantly trans-illuminant Most of the time it is covered by skin so immediate surgical intervention is not needed Few cases may need immediate surgical intervention if not covered by skin because of the risk of Meningitis. Myelomeningocele Most severe dysraphism It is characterized by the herniation of spinal cord contents and meninges through an abnormal defect in the back bone Lumbosacral area is the most common location of myelomeningocele Meningocele Myelomeningocele